Joint involved in Rheumatoid arthritis are all except
1. PROXIMAL INTERPHALYNGEAL JOINT
2. DISTAL INTERPHALYNGEAL JOINTS
3. METACARPO PHALYNGEAL JOINT
4. CERVICAL C1-C2 JOINT

Correct answer: 2. DISTAL INTERPHALYNGEAL JOINTS

Explanation: REF : MAHESWARI 9TH ED